Bismuth compounds are incorporated in root canal filling materials because they are:
1. Radio-opaque
2. Germicidal
3. Radiolucent
4. Adhesive

Correct answer: 1. Radio-opaque